The commonly used root canal irrigant, which was used for irrigation wounds during world war 1 by Dakin is
1. Saline
2. Hydrogen peroxide
3. Buffered sodium hypochlorite
4. Distilled water

Correct answer: 3. Buffered sodium hypochlorite